Indication of dialysis is all except-
1. Pericarditis
2. Peristent hyperkalemia
3. Uremic encephalopathy
4. Anemia

Correct answer: 4. Anemia

Explanation: Indications for initiation of renal replacement therapy for patients with CKD- Uremic pericarditis Encephalopathy Intractable muscle cramping Anorexia and nausea not attributable to reversible causes such as peptic ulcer disease Evidence of malnutrition Fluid and electrolyte abnormalities like hyperkalemia or extracellular fluid volume overload Ref:Harrison 20 th edition pg no 2121